Which of the following CNS condition shows positive Tober Ayer test?
1. Lateral sinus thrombosis
2. Petrositis
3. Cerebral abscess
4. Subarachnoid haemorrhage

Correct answer: 1. Lateral sinus thrombosis

Explanation: Tober Ayer test is positive in lateral sinus thrombosis or sigmoid sinus thrombosis. This test is to record CSF pressure by manometer and to see the effect of manual compression of one or both jugular veins. Compression on vein on the thrombosed side produces no effect while compression of vein on healthy side produces rapid rise in CSF pressure which will be equal to bilateral compression of jugular veins. Clinical features of lateral sinus thrombosis: Hectic Picket-fence type of fever with rigors Headache Progressive anemia and emaciation Griesinger's sign Papilloedema Tober Ayer test Crowe-Beck test Tenderness along jugular vein